NCPF is due to:-
1. Extrahepatic obstruction
2. Intrahepatic pre-sinusoidal obstruction
3. Intrahepatic sinusoidal obstruction
4. Intrahepatic post-sinusoidal obstruction

Correct answer: 2. Intrahepatic pre-sinusoidal obstruction

Explanation: NON-CIRRHOTIC PORTAL FIBROSIS (NCPF) Characterized by widespread fibrosis of liver ( mainly portal, subcapsular and rarely perisinusoidal) causing wide variation in normal architecture There is no true cirrhosis. Hallmark of diseases is Thrombosis/sclerosis of the portal vein branches. Portal and periportal fibrosis of varying extent (No bridging fibrosis). Ultrasound shows normal splenoportal axis. Withered tree appearance and periportal fibrosis is seen in NCPF.